Which of the following enzyme degrades brain natriuretic peptide?
1. Neutral endopeptidase
2. Elastase
3. Collagenase
4. Omapatrilat

Correct answer: 1. Neutral endopeptidase

Explanation: Natriuretic peptides include atrial natriuretic peptide (ANP), brain natriuretic peptide (BNP), and C-type natriuretic peptide (CNP). The natriuretic peptides have a short half-life in the circulation. They are metabolized in the kidneys, liver, and lungs by the neutral endopeptidase NEP 24.11. Inhibition of this endopeptidase results in increases in circulating levels of the natriuretic peptides, natriuresis, and diuresis. The peptides are also removed from the circulation by binding to ANPC receptors in the vascular endothelium. Ref: Reid I.A. (2012). Chapter 17. Vasoactive Peptides. In B.G. Katzung, S.B. Masters, A.J. Trevor (Eds), Basic & Clinical Pharmacology, 12e.